TRUE/FALSE about the right phrenic nerve are: 1. Motor branch 2. Sensory branch 3. Arises from C4 4. Shorter course than left phrenic nerve
1. 1,3,4 true and 2 false
2. 1,2 true and 3,4 false
3. 1,2,3 true and 4 false
4. All are true

Correct answer: 4. All are true

Explanation: The phrenic nerve is a mixed nerve that provides the sole motor supply to the diaphragm. It is derived from the fourth cervical ramus."The phrenic nerve arises from the C3-5 nerves of the cervical plexus. It run vertically downwards across the front of the scalenus anterior muscles and enter the thorax by passing in front of the subclavian artery. It passes in front of the root of the lung(left phrenic- left lung; right phrenic - of right lung)" Ref: Snell's Clinical Anatomy, 8th Education, Page 771,127